All of the following statements hold true for melanoma of vulva except :
1. It is the 2nd most common vulval cancer
2. M/C site is labia majora
3. May arise from junctional nevus
4. Has a poor prognosis

Correct answer: 2. M/C site is labia majora

Explanation: Melanoma of vulva accounts for 3-5% of all vulval tumors It may arise de novo,but some arise from a pre-existing juctional naevus. occur frequently on clitoris or labia minora have poor prognosis Reference : textbook of gynaecology Sheila balakrishnan, 2nd edition, pg no: 292,293